Herd immunity is not useful in -
1. Diphtheria
2. Polio
3. Measles
4. Tetanus

Correct answer: 4. Tetanus

Explanation: Herd immunity has been achieved in diphtheria and poliomyelitis Small pox-herd immunity has not played a crucial role in its eradication. Tetanus- herd immunity doesn't protect the individuals ( refer pgno:103 park 23 rd edition)